Cooley's anemia is also known as
1. Erythroblastosis fetalis
2. Aplatic anemia
3. Thalassemia
4. Pernicious anemia

Correct answer: 3. Thalassemia